Baggasosis is caused by dust of?
1. Jute
2. Cotton
3. Sugarcane
4. Textiles

Correct answer: 3. Sugarcane

Explanation: ANSWER: (C) SugarcaneREF: park 20th ed p. 210Dusts causing diseases:OrganicInorganicSugarcaneBagassosisCoalAnthracosisCottonByssinosisSilicaSilicosisTobaccoTobaccosisAsbestosAsbestosisHay or grainFarmers lungIronSiderosis